Drug of choice for treatment of epiglottitis is
1. Ceftriaxone
2. Sulphamethoxazone
3. Chloramphenicol
4. Clindamycin

Correct answer: 1. Ceftriaxone

Explanation: Ampicillin or third generation cephalosporins are effective against H. influenzae and are given by parenteral route (i.m. or i.v.) without waiting for results of throat swab and blood culture. Ref: PL Dhingra 7th edition of Ear, Nose and Throat; Pg no 328